The earliest indicator of response after starting iron in a 6-year-old girl with iron deficiency is -
1. Increased reticulocyte count
2. Increased hemoglobin
3. Increased ferritin
4. Increased serum iron

Correct answer: 1. Increased reticulocyte count

Explanation: . Ans. is 'a' i.e., Increased Reticulocyte count Reticulocyte count is the first to rise. This is followed by elevation of haemoglobin levels. Body iron stores are restored after correction of haemoglobin levels.`Rise in Reticulocyte count occurs by the second or third day. This is followed by elevation of haemoglobin levels. Body iron stores are repleted after correction of haemoglobin levels. - Ghai